Which of the following is a mood stabilizer with an anti-suicidal effect?
1. Lithium
2. Valproate
3. Carbamazepine
4. Lamotrigine

Correct answer: 1. Lithium

Explanation: Answer- A. LithiumLithium is a mood stabilizer with an anti-suicidal effect. Lithium is the drug of choice for bipolar disorders as it is a mood stabilizer as well as it has an anti-suicidal effect. Hence it is also used as a response-augmenting agent with antidepressants in resistant major depressants is a mood stabilizer with an anti-suicidal effect.